Which of the functions are TRUE regarding C-terminal domain of androgen receptor protein?
1. Ligand binding
2. Increasing biological half life
3. Increasing the affinity of receptor to DNA
4. Increasing the level of transcription

Correct answer: 1. Ligand binding

Explanation: The androgen receptor proteins contain 3 common domains: 1- Highly conserved central domain that is responsible for DNA binding 2- N-terminal region that is involved in trascriptional activation, and 3- C-terminal domain that binds ligand Ref: Harper's Illustrated Biochemistry 27th Edition, Page 477; Molecular cell biology, December 19 (12); 8383 - 8392; Urotext Basics By R. A. S. Hemat, Edition 2003, Page 68.